A child presented with difficulty in seeing the blackboard in school. His teachers say that he frequently squeezes his eyes. Most probable cause is:
1. Hypermetropia
2. Myopia
3. Presbyopia
4. Astigmatism

Correct answer: 2. Myopia

Explanation: B i.e. Myopia Myopia or 'Short sight' is a refractive error that most commonly presents as indistinct distant vision in which the light rays are focussed in front of the retina. As the maximum distance of clear vision is reduced the far point has come nearer. Myopia in children The child squeezes his eye in order to reduce the inherent accommodative tone which helps him see betterQ Holds books close to their face while reading. Can also lead to hampered social & mental development if left uncorrected. The child takes less & less interest in the surroundings since they cannot see distant objects clearly and may turn introvert and take more interest in reading and near work. Hence prompt diagnosis & appropriate correction is warranted.